Absence of differentiation is known as:-
1. Metaplasia
2. Anaplasia
3. Dysplasia
4. Hyperplasia

Correct answer: 2. Anaplasia

Explanation: Solutions: Hallmark feature of malignant transformation Irreversible High degree of pleomorphism (variability) High nucleocytoplasmic ratio Abnormal mitotic figures Metaplasia: Epithelial metaplasia squamous metaplasia in the lungs of smokers Connective tissue metaplasia - myositis ossificans Dysplasia: Mid way b/w anaplasia and metaplasia,early stages reversible, later stages irreversible Anaplasia: Malignant neoplasms that are composed of poorly differentiated cells are said to be anaplastic. Lack of differentiation, or anaplasia, is considered a hallmark of malignancy. Lack of differentiation, or anaplasia, is often associated with many other morphologic changes. Pleomorphism Abnormal nuclear morphology (N:C ratio that may approach 1 : 1, instead of the normal 1 : 4 or 1 : 6) Mitosis Loss of polarity Growing tumor cells obviously require a blood supply, but often the vascular stroma is insufficient, and as a result in many rapidly growing malignant tumors develop large central areas of ischemic necrosis.